The thixotropic theory claims that:
1. The principle fibres of the periodontal ligament has the major responsibility in supporting the tooth and transmitting forces to the bone
2. The periodontal ligament has the rheologic behaviour of a thixotropic gel.
3. The displacement of the tooth is largely controlled by fluid movements.
4. None of the above

Correct answer: 2. The periodontal ligament has the rheologic behaviour of a thixotropic gel.